Which of the following is responsible for the elasticity of the acellular corneal layer of the skin?
1. Lysine
2. Keratin
3. Histidine
4. Cysteine

Correct answer: 2. Keratin

Explanation: The most superficial layer of the epidermis is called the stratum corneum. This layer is acellular. It is made up of flattened scale like elements containing keratin filaments embedded in protein. The keratinized stratum corneum is tough, strong, flexible and elastic. The thickness of the stratum corneum is greatest on the palm and soles. Ref: Textbook of Human Histology By Inderbir Singh, 4th Edition, Page 195